Which of the following malignant ovarian germ cell tumor variants has the best prognosis
1. Yolk Sac tumor
2. Dysgerminoma
3. Immature teratoma
4. Mature teratoma

Correct answer: 2. Dysgerminoma

Explanation: Dysgerminomas have the best prognosis of all malignant ovarian germ cell tumors.